Convex profile is seen in
1. Class I
2. Class II
3. Class III
4. None of above

Correct answer: 2. Class II